The influence of maternal smoking and LBW incidence is studied. Detailed smoking history is taken at first antenatal visit and smoking history and birth weight were studied later. The type of study is -
1. Retrospective cohart study
2. Cross sectional study
3. Clinical trial
4. Prospective cohort study

Correct answer: 4. Prospective cohort study

Explanation: Ans. is 'd' i.e. Prospective cohort study